All are vasodilator except
1. Procaine
2. Lidocaine
3. Cocaine
4. Chloroprocaine

Correct answer: 3. Cocaine